ATP produced substrate level phosphorylation in glycolysis is:
1. 5
2. 6
3. 4
4. 3

Correct answer: 3. 4

Explanation: ATP yield substrate level phosphorylation in glycolysis is 4 ATPs There are 2 (SLP) steps in glycolysis: phospho glycerate kinase (Step - 7) pyruvate kinase (Step- 10) These steps occur in phase II of glycolysis. Number of ATPs produced are multiplied by 2 (as two molecules of Glyceraldehyde-3-P enters Phase II), i.e. total 2+2 = 4 ATPs .